Which of the following anesthetic agent is not painful on intravenous administration?
1. Ketamine
2. Propofol
3. Etomidate
4. Methohexital

Correct answer: 1. Ketamine

Explanation: Ketamine: Short acting, non barbiturate anaesthetic induces a dissociated state in which the patient is unconcious and does not feel pain. This dissociative anaesthesia provide sedation, amnesia and immobility. Not painful on IV administration Propofol: potent anaesthetic but a weak analgesic . Maximum pain on injection. Etomidate:- Hypnotic agent used to induce anaesthetic but lacks analgesic activity. Usually only used for patient with coronary artery diseases or cardiovascular dysfunction. Methohexital:- Barbiturate derivative, short acting and has rapid onset of action.